The projection of ameloblast into the enamel matrix, is known as
1. Tomes fibers
2. Tomes process
3. Tomes fibrils
4. Tomes network

Correct answer: 2. Tomes process

Explanation: The surfaces of the ameloblasts facing the developing enamel are not smooth. There is an interdigitation of the cells and the enamel rods that they produce.
This interdigitation is partly a result of the fact that the long axes of the ameloblasts are not parallel to the long axes of the rods.
The projections of the ameloblasts into the enamel matrix have been named Tomes’ processes